Gastrectomy produces deficiency of which vitamin -
1. VitaminB6
2. Vitamin B12
3. Vitamin B2
4. Vitamin B1

Correct answer: 2. Vitamin B12

Explanation: Ans. is 'b' i.e.. Vitamin B12 o The intestinal absorption of vitamin Bu requires intrinsic factor (IF), secreted by parietal cells of the stomach.o In stomach vitamin Bt2 binds to IF to form vitamin Bn-IF complex which intum is absorbed by sepecific receptors on mucosal cells of the ileum.o Vitamin Buis also called as 'extrinsic factor' of castle.